The rationale for using ethanol in methanol poisoning is that it :
1. Antagonises the actions of methanol
2. Stimulates the metabolism of methanol and reduces its blood level
3. Inhibits the metabolism of methanol and generation of toxic metabolite
4. Replenishes the folate stores depleted by methanol

Correct answer: 3. Inhibits the metabolism of methanol and generation of toxic metabolite